Extrahepatic Manifestations of Hepatitis C include all of the following Except:
1. Lichen Planus
2. Celiac Disease
3. Glomerulonephritis
4. Cryoglobulinemia

Correct answer: 2. Celiac Disease

Explanation: Answer is B (Celiac disease) Extrahepatic manifestations in viral hepatitis C: Wepatology' by Kuntz Agranulocytosis Aplastic anaemia Corneal ulceration Ciyoglobillinaemia Diabetes mellitus (type I) Erythema exsudativum multiforme Glomerulonephritis Guillain-Barre syndrome Hyperlipasaemia Lichen planus Non-Hodgkin lymphoma Polyarteritis nodosa Polyarthritis Polyneuritis Porphyria cutanea tarda Sialadenitis Sjogren's syndrome /Sicca syndrome Thrombocytopenia Thyroiditis